Fleischner sign on barium study is seen in
1. Ileocecal TB
2. Crohns disease
3. Small bowel carcinoid
4. Typhoid

Correct answer: 1. Ileocecal TB

Explanation: Fleischner sign is seen in Ileocaecal Tuberculosis. In barium X-ray, Narrow ileum with thickened Ileocaecal valve is seen, which is known as Fleischner sign or Inverted umbrella sign. Reference : SRB's Manual of Surgery, 6th Edition, page no = 576